Acanthosis involves
1. Stratum corneum
2. Stratum spinosum
3. Stratum granulosum
4. Stratum lucidum

Correct answer: 2. Stratum spinosum

Explanation: Acanthosis is used to describe increase in the number of cells in the Malphigian or prickle cell layer of the epidermis Acanthosis is diffuse epidermal hyperplasia (thickening of the skin). It implies increased thickness of the Malpighian layer (stratum basale and stratum spinosum). Acanthosis nigricans is often associated with type 2 diabetes, and is usually observed in the back of neck, axilla, and other folded regions of the skin. Ref: Harrison 20th edition pg 1246